The mitochondrial enzyme involved in the metabolism of clopidorgel and proton pump inhibitors is:
1. CYP 2A
2. CYP 2B
3. CYP 2C19
4. CYP 2D6

Correct answer: 3. CYP 2C19

Explanation: Ans. (C) CYP 2C19(Ref: Katzung 13th/e p80)Clopidogrel and proton pump inhibitors are metabolized mainly by CYP2C19 and by CYP3A4. Due to this reason there is potential of interaction between these two drugs